Three most common cancers metastasizing to bone -a) Kidneyb) Thyroidc) Breastd) Prostatee) Lung
1. abd
2. cde
3. bde
4. ade

Correct answer: 2. cde

Explanation: Certain tumors are known to be common sources of bone metastasis. The following primary tumors are the most common to metastasize in the bone; breast, prostate, lung, thyroid, kidney, and gastrointestinal tract.
The commonest source of metastatic bone disease is carcinoma of the breast. In males most common source is prostate carcinoma.
Bladder and uterine carcinomas are less common sources.
In children, skeletal metastases originate from neuroblastoma, Ewing's sarcoma, and osteosarcoma.